True about polymerase chain reaction is
1. Enzymatic DNA amplification
2. Recombinent DNA amplification
3. Separation of protein fragments is serum
4. None

Correct answer: 1. Enzymatic DNA amplification

Explanation: PCR is a method of enzymatic amplification of a target sequence of double stranded DNA.